A patient presented with complaints of diplopia. O/E pupils were dilated. Both direct and consensual light reflexes were lost. The diagnosis is :
1. 2nd nerve palsy
2. 3rd nerve palsy
3. 5th nerve palsy
4. 7th nerve palsy

Correct answer: 2. 3rd nerve palsy

Explanation: 3rd nerve palsy PUPILLARY LIGHT REFLEX :- If light enters an eye, the pupil of the same eye contracts (direct light reflex),activity shared equally by the pupil of other eye (consensual light reflex) - Afferent limb of light reflex is Optic nerve (CN2) and efferent limb is Oculomotor nerve (CN3) - Both direct and consensual light reflexes are lost in third nerve palsy.